What is urethane dimethacrylate resin based sealer:
1. Endorez
2. Tubliseal
3. Realseal
4. Sealapex

Correct answer: 1. Endorez

Explanation: Endorez is a visible - light curable urethane dimethacrylate gn  based sealer. It is hydrophilic and penetrates deep into dentinal tubules thereby reducing the microbial leakage.